All are primary supports of uterus except
1. Transcervical ligament
2. Pubocervical ligament
3. Uterosacral
4. Broad ligament

Correct answer: 4. Broad ligament

Explanation: The supports of the uterus and the bladder are seen to be triradiate condensation of endopelvic fascia:
 
The anterior spoke is the pubocervical fascia or so-called pubocervical ligament.
 
The lateral spoke is Mackenrodt's ligament.
 
The posterior spoke is the uterosacral ligament.
 
SUPPORTS OF THE GENITAL TRACT
 
DeLancey introduced three level systems of support. Level I -Uterosacral and cardinal ligaments support the uterus and vaginal vault.
 
Level II-Pelvic fascias and paracolpos which connects the vagina to the white line on the lateral pelvic wall through arcus tendinous.
 
Level III-Levator ani muscle supports the lower one-third of vagina.